In glycolysis, insulin affects all of the following enzymes except:
1. Phosphofructokinase
2. Pyruvate kinase
3. Glucokinase
4. Hexokinase

Correct answer: 4. Hexokinase

Explanation: The activation as well as the quantities of certain key enzymes of glycolysis, namely glucokinase (NOT hexokinase), phosphofructokinase and pyruvate kinase are increased by insulin.